The amount of total polyamines and putrescine is higher in the following conditions
1. Necrotic pulps of teeth that are painful to percussion or with spontaneous pain
2. Vital pulps of teeth that are asymptomatic
3. Pulps of teeth that have chronic hyperplastic pulpitis
4. Pulp associated with an impacted tooth

Correct answer: 1. Necrotic pulps of teeth that are painful to percussion or with spontaneous pain